Complex granular corpuscels are produced by ?
1. Oligodendrocytes
2. Astrocytes
3. Microglia
4. Vascular endothelium

Correct answer: 3. Microglia

Explanation: Ans. is 'c' i.e., Microglia Complex granular corpuscels are produced by microglia.